Synesthesia is seen with
1. Cocaine
2. LSD
3. Opioids
4. Methadone

Correct answer: 2. LSD